All of the following drains into coronary sinus, EXCEPT?
1. Great cardiac vein
2. Anterior cardiac vein
3. Middle cardiac vein
4. Left posterior ventricular vein

Correct answer: 2. Anterior cardiac vein

Explanation: The coronary sinus receives blood mainly from the small, middle, great and oblique cardiac veins. It also receives blood from the left marginal vein and the left posterior ventricular vein. It drains into the right atrium. The anterior cardiac veins do not drain into the coronary sinus but drain directly into the right atrium. Some small veins known as smallest cardiac veins drain directly into any of the four chambers of the heart.